Provisional restorative materials should possess all properties except
1. Dimensionally stable
2. Ease of contouring and polishing
3. Low abrasion resistance
4. Good appearance

Correct answer: 3. Low abrasion resistance